A 65 years old patient with coronary artery disease was on Aspirin for 2 years. He now complains of black stools. Abdominal examination is normal. What is the most probable diagnosis
1. Ileocecal TB
2. Ca colon
3. Esophageal varices
4. Duodenel ulcer

Correct answer: 4. Duodenel ulcer

Explanation: Peptic ulcer( 55%)- ulcer bleeding is precipitated by NSAIDs like aspirin. Reference SRB 5th edition page no. 990